Indicate the drug which does not improve lower esophageal sphincter tone or prevent gastroesophageal reflux, but is used as the first line treatment of gastroesophageal reflux disease :
1. Sodium alginate + aluminium hydroxide gel
2. Omeprazole
3. Mosapride
4. Metoclopramide

Correct answer: 2. Omeprazole

Explanation: Increasing GI motility with prokinetic drugs (like metoclopramide and mosapride) or
By decreasing gastric acid secretion with PPIs like omeprazole.